Which vaccine cannot be used in adults?
1. Hep A
2. MMR
3. DPT
4. Pneumococcal

Correct answer: 3. DPT

Explanation: c. DPT(Ref: IAP Guidebook on Immunization 2013-14, p 387)Tdap vaccine (single dose) is recommended in adolescents / adults & not DTPTdap contains lesser amount of Diphtheria & Pertussis antigens, compared to DTP